Enlarged liver with Hepatocellular dysfunction may be seen in all of the following, except:
1. Wilson's disease
2. Budd Chirai syndrome
3. Alcoholic hepatitis
4. Post necrotic syndrome

Correct answer: 4. Post necrotic syndrome

Explanation: Answer is D (Post necrotic cirrhosis) Liver is typically shrunken in size and not enlarged in post necrotic cirrhosis. Alcoholic hepatitis, NASH, Wilson's disease and Budd chiari syndrome may all present with enlarged liver and hepatocellular dysfunction.